Radial artery is cannulated to measure:
1. Heart rate
2. Blood pressure
3. CVP
4. End tidal CO2

Correct answer: 2. Blood pressure

Explanation: Ans. B i.e. Blood pressure Arterial cannulation It is a commonly performed procedure in the management of patients who are critically ill. An indwelling arterial catheter allows for continuous blood pressure (BP) monitoring, frequent blood sampling, and arterial blood gas measurement. Arterial catheters can be placed at the bedside and have been found to be relatively safe, with a low incidence of serious complications. Arteries used for catheterization include the radial, ulnar, brachial, axillary, femoral, posterior tibial, and dorsalis pedis. Of these, the radial artery is most commonly used in both adults and children. The radial artery is chosen primarily because of the superficial nature of the vessel and ease of maintenance of the site